A patient presents with a chief complaint of chronic nose-bleeds. To control the severity of these nosebleeds, his physician decides to ligate the sphenopalatine artery. From which of the following arteries does the sphenopalatine artery arise.
1. Internal carotid
2. facial artery
3. maxillary artery
4. Ophthalmic artery

Correct answer: 3. maxillary artery

Explanation: Maxillary In the young, the blood comes from Little's area, a highly vascular area at the anteriorborder of the nasal septum. With age the site of bleeding moves posteriorly o The nose and sinuses are supplied by branches of the internal and external carotid arteries. o The superiorpart of the nose receives the anterior and posterior ethmoidal arteries - branches of the ophthalmicartery which itself, is a branch of the internal carotid. o The rest of the nose and sinuses is supplied by the greater palatine, sphenopalatine, and superior labial arteries, all of which are branches of the maxillary artery which itself, is a branch of the external carotid. o Significantly there is a plexus of vessels on the anterior septum - Little's area or Kiesselbach's plexus - where branches of both the internal and external carotid artery anastomose; this is a frequent site for epistaxis. o Venous drainage of the nose and sinuses is the ophthalmic and facial veins (dangerous area of face), and the pterygoid and pharyngeal plexuses. Significantly, drainage is such that infection may spread the veins to the cavernous sinus, leading to cavernous sinus thrombosis